Crushmann's spirals are seen in
1. Bronchial asthma
2. Bronchiectasis
3. Chronic bronchitis
4. Wegner's granulomatosis

Correct answer: 1. Bronchial asthma

Explanation: Bronchial asthma will show 

Curschmann's spirals : whorled mucus pluge in shape of tracheal ring.
Charcot - Leyden crystals : crystalloid eosinophoil granule made up of eosinophilic protein called galectin-10.
Creola bodies : These are individual epithelial cells in the sputum.